ACE inhibitors are contraindicated in:
1. Diabetes mellitus
2. Hypertension in old age groups
3. Scleroderma
4. Bilateral renal artery stenosis

Correct answer: 4. Bilateral renal artery stenosis

Explanation: Ans. d (Bilateral renal artery stenosis). (Ref. Pharmacology by KD Tripathi - 5th/- 453)SIDE EFFECTS OF CAPTOPRIL# Cough- - most common - dry hacking - seen in 5-15% of patients - due to accumulation of bradykinin & substance P. # Angioedema * Proteinuria (Nephrotic syndrome) # Teratogenic - Acute renal failure - Growth retardation ----(Mnemonic: CAPTOPRIL)- Hypocalvaria - Hypoplastic bones Most teratogenic -Enalapril # HypOtension # Potassium (Hyperkalemia) # Rash, allergy & Granulocytopenia. # Insufficiency {Renal) (in bilateral renal artery stenosis) # Loss of taste sensation (Dysguasia). - Highest with captopril among these inhibitors.-